Function of Peroxisomes is?
1. Protein synthesis
2. Carbohydrate metabolism
3. Generating H2O2
4. DNA replication

Correct answer: 3. Generating H2O2

Explanation: Ans. (c) Generating H2 O2 (Ref: Robbins 9th/ pg 6-7)Functions of some important cell organelles:*Lysosomes:*Digestion Q of proteins, polysaccharides, lipids, nucleic acids*Proteasomes:#Selectively chews up denatured proteins, releasing peptides Q*Peroxisomes:#Breakdown of fatty acids, Q generating hydrogen peroxide